All of the following host tissue responses can be seen in acute inflammation, EXCEPT:
1. Exudation
2. Margination
3. Vasodilation
4. Granuloma formation

Correct answer: 4. Granuloma formation

Explanation: Vasodilation, margination and exudation are host tissue responses seen during acute inflammation. Granulomas are seen in chronic inflammation. The three major components of acute inflammation are: ? Alteration in vascular caliber that lead to an increase in blood flow. ? Emigration of the leukocytes from the microcirculation and their accumulation in the focus of injury. ? Structural changes in the microvasculature that permits the plasma proteins and leukocytes to leave the circulation. Ref: Robbins Pathologic Basis of Disease, 6th Edition, Page 83 and 8th Edition, Page 73